The following modes of therapy may be useful for treatment of obsessive compulsive disorder except:
1. Fluoxetine
2. Clomipramine
3. Behavior therapy
4. Electroconvulsive therapy

Correct answer: 4. Electroconvulsive therapy

Explanation: Electroconvulsive therapy has no major role in treatment of OCD. Whereas SSRI AND clomipramine are the first line pharmacological agents used. Behavioral therapy is also given in OCD Best being Exposure and Response prevention.